Which of the following is associated with primary hepatic malignancy:
1. Cadmium
2. Vinyl chloride
3. Chromium compounds
4. Asbestos

Correct answer: 2. Vinyl chloride

Explanation: Ans. B: Vinyl chlorideVinyl chloride is associated with angiosarcoma (primary hepatic malignancy).Cadmium predisposes to prostate malignancyChromium compounds and asbestos is associated with lung malignancyThe main risk factors for hepatocellular carcinoma are:AlcoholismHepatitis B,Hepatitis CAflatoxinCirrhosis of the liverWilsons diseaseWhen hepatocellular adenomas grow to a size of more than 6-8 cm, they are considered cancerous and thus become a risk of hepatocellular carcinoma. The use of birth control pills is one risk factor to develop an adenoma.Diabetics are also at risk for adenomas. Also, those individuals who abuse anabolic steroids are also at risk to develop hepatic adenomas.Although hepatocellular carcinoma most commonly affects adults, children who are affected with biliary atresia, infantile cholestasis, glycogen-storage diseases, and other cirrhotic diseases of the liver are predisposed to developing hepatocellular carcinoma.